Paramesonephric ducts develop at
1. 4 weeks of gestation
2. 6 weeks of gestation
3. 8 weeks of gestation
4. 10 weeks of gestation

Correct answer: 2. 6 weeks of gestation

Explanation: Paramesonephric ducts develop from invagination of intermediate mesoderm at 6th week of gestation.